Reperfusion injury is caused by:
1. Vitamin E
2. Superoxide ion
3. Calcium ion
4. Magnesium ion

Correct answer: 2. Superoxide ion

Explanation: B i.e. Superoxide ion- Xanthine oxidase increases oxidative stress by generating superoxide free radiclesQ- Ischemic reperfusion injury is caused by reactive oxygen species (ROS)/free radical or pro oxidant like superoxide ionQAntioxidants blocking free radical formation include vitamin A (Beta carotene), C and E; superoxide dismutase, catalase and selenium containing glutathione peroxidase enzymes; ceruloplasmin, transferrin, ferritin, and lactoferrin transport proteins etc.